A 3-year-old child sleeping in a hut woke up in the middle of the night screaming. Her mother thought the child had a nightmare and tried to pacify her. After sometime, she noticed that the child was sweating profusely and the hands were becoming cold. She vomited a couple of times. The mother immediately rushed her to the emergency services. Her pulse was 150/minute and her BP 90/60 mmHg. This child is likely to have:
1. Snake bite
2. Scorpion bite
3. Septic shock
4. Food poisoning

Correct answer: 2. Scorpion bite

Explanation: Ans. Scorpion bite